'Liver shrinkage diet' is advised before
1. Liver resections
2. Whipple's procedure
3. Bariatric surgery
4. Biliary surgery

Correct answer: 3. Bariatric surgery

Explanation: In bariatric surgery, 'liver shrinkage diet' for at least 2 weeks before surgery is advised, especially when there is central obesity, as this is associated with large livers that can make surgery impossible.Ref: Bailey and love 27e pg: 1146